The most common cause of ambiguous genitalia in a newborn is -
1. 21 hydroxylase deficinece
2. 11 beta - hydroxylase deficiency
3. 17 alpha - hydroxyalse deficiency
4. 3 beta - hydroxysteroid deficiency

Correct answer: 1. 21 hydroxylase deficinece

Explanation: Ans. is 'a' i.e., 21 hydroxylase deficiency o Congenital adrenal hyperplasia due to classic 21-Hydroxylase deficiency is the most common cause of ambiguous genitalia in the newborn. Virilization is apparent at birth in the female and within the first 2-3 years of life in the male.